One of the following is earliest indication ofconcealed acute bleeding -
1. Tachycardia
2. Postural HT
3. Oliguria
4. Cold clammy fingers

Correct answer: 1. Tachycardia